Following injury to a blood vessel, immediate haemostasis is achieved by-
1. Fibrin deposition
2. Vasoconstriction
3. Platelet adhesion
4. Thrombosis

Correct answer: 2. Vasoconstriction

Explanation: Robbins basic pathology, 9th edition, page no:79 Vascular injury primarily causes a transient arteriolar vasoconstriction through reflex neurogenic mechanisms augmented by local secretion of endothelin. All other options follow this. So the answer is option 2.